End product of purine metabolism in non-primate mammals is:
1. Uric acid
2. Ammonia
3. Urea
4. Allantoin

Correct answer: 4. Allantoin

Explanation: D i.e. Allantoin